Lining epithelium of vagina is -
1. Pseudostratified columnar epithelium
2. Keratinized stratified squamous epithelium
3. Non keratinized stratified squamous epithelium
4. Ciliated columnar epithelium

Correct answer: 3. Non keratinized stratified squamous epithelium